Factor constituting the quality and quantity of pain:
1. Spontaneity, intensity, duration
2. Character, severity
3. History, location, diagnosis
4. Stimulus, severity

Correct answer: 1. Spontaneity, intensity, duration

Explanation: The three important factors constituting the quality and quantity of pain are its spontaneity, intensity, and duration